Which of the following factors is most likely associated with a more positive prognosis for autistic disorder?
1. Family educational status
2. Physical development & performance IQ
3. Language development & verbal IQ
4. Presence of a seizure disorder

Correct answer: 3. Language development & verbal IQ

Explanation: One of the best predictors of the ability to improve the development of autistic children is the extent to which they have, or have begun to develop, language skills. This ability is often measured in verbal IQ testing.Autism spectrum disorders are relatively common, occurring in approximately 1 in 150 children. Males are overrepresented 3-4:1, with reports as high as 9.5:1 (especially when higher functioning individuals are included). No known etiology can be found in 80%-90% of cases. A genetic syndrome such as fragile X syndrome or chromosome 15q duplication is found in 10%-20% of cases. There is a strong familial component. Parents of one child with autism of unknown etiology have a 2%-9% chance of having a second child with autism.Ref: Goldson E., Reynolds A. (2012). Chapter 3. Child Development & Behavior. In W.W. Hay, Jr., M.J. Levin, R.R. Deterding, J.J. Ross, J.M. Sondheimer (Eds), CURRENT Diagnosis & Treatment: Pediatrics, 21e.